HCI Secretion in gastric phase is increases by
1. Pepsinogen
2. CCK
3. Gastrin
4. Secretin

Correct answer: 3. Gastrin

Explanation: Ans. (c) Gastrin(Ref: Ganong, 25th ed/p.457)Three major factors that increase gastric acid secretion are,#Histamine - paracrine factor (released from a nearby ECL cell)#Gastrin - Endocrine factor (Released by G cells into blood that reaches parietal cells)#Acetylcholine - Neurocrine factor (released by vagal nerve endings)